A case of acute flaccid paralysis must be observed for how many days for residual weakness -
1. 30 days
2. 42 days
3. 60 days
4. 90 days

Correct answer: 3. 60 days

Explanation: - AFP surveillance is done in all children below age of 15 years. - at least 80% of the AFP cases should have a follow up examination of residual paralysis at 60 days after the onset of paralysis. Reference : Park's textbook of preventive and social medicine, 23rd edition, pg no:204